Which of the following is true regarding mutations related to pancreatitis?
1. Hereditary pancreatitis: PRSS1
2. Idiopathic chronic pancreatitis: CFTR
3. Tropical calcific pancreatitis: SPINK1
4. All of the above

Correct answer: 4. All of the above

Explanation: Syndromes Mutations Hereditary pancreatitis PRSS 1 (cationic trypsinogen)gene Idiopathic chronic pancreatitis CFTR Tropical calcific pancreatitis SPINK1 (PTSI)